Iron is present in all of the following except
1. Myoglobin
2. Cytochrome
3. Catalase
4. Pyruvate Kinase

Correct answer: 4. Pyruvate Kinase